True about endemic typhus
1. Man is the only reservoir of infection
2. Flea is a vector of disease
3. A rash developing into an eschar is characteristics of the disease
4. Culture is diagnostic

Correct answer: 2. Flea is a vector of disease